High priority triage is for -
1. Red color
2. Yellow color
3. Green color
4. Black color

Correct answer: 1. Red color

Explanation: -triage consists of rapidly classifying the injured on the basis of severity of their injuries and the likelihood of their survival with prompt medical intervention. - red colour triage indicates high priority treatment or transfer. Reference: Park's textbook of preventive and social medicine, 23rd edition, pg no: 796